Diagnosis of X linked agammaglobulinemia should be suspected if -
1. Absent tonsils and no palpable lymph nodes on physical examination
2. Female Sex
3. High Isohernagglutinins titers
4. Low CD3

Correct answer: 1. Absent tonsils and no palpable lymph nodes on physical examination